Burden of malaria is best estimated by ?
1. Mosquito rate
2. API
3. Parasite rate
4. SPR

Correct answer: 2. API

Explanation: Ans. is 'b' i.e., API o API is a sophasticated measure of malaria incidence in a community. o Areas with API 2/1000 population per year have been classified as high risk area in India and thereby eligible for vector control.